True about Barrett's oesophagus -a) Sequence of prolonged G.E.R.b) It is premalignantc) Lower oesophageal mucosa is replaced by intestinal type of epitheliumd) Varicose veins are seene) Predisposes to squamous cell Ca of esophagus
1. ab
2. bc
3. abc
4. bcd

Correct answer: 3. abc